True about manic-depressive psychosis is:
1. Personality deterioration is common
2. Patient keeps on suffering from mania or depression
3. Unipolar depression is uncommon
4. Patient often remits completely in between attack

Correct answer: 4. Patient often remits completely in between attack

Explanation: Patient often remits completely in between attack